Serum, Anti - mullerian hormone levels in PCOD are
1. Elevated
2. Decreased
3. Unchanged
4. Variable

Correct answer: 1. Elevated

Explanation: Anti-mullerain hormone levels are two-to-three fold higher in women with PCOD.